Which of the following conditions does not cause right axis deviation in ECG ?
1. Lying down posture
2. End of deep inspiration
3. Right ventricular hypertrophy
4. Right bundle branch block

Correct answer: 1. Lying down posture

Explanation: The electrical axis of the heart is the net direction in which the wave of depolarisation travels. It is measured using an electrocardiogram (ECG). Normally, this begins at the atrioventricular node (AV node); from here the wave of depolarisation travels down to the apex of the heart. The hexaxial reference system can be used to visualise the directions in which the depolarisation wave may travel. When subjects were lying on the left side during sleep, due to the effect of gravity on heart, the position of heart changed, for example, turned and rotated, causing changes in the ECG of frontal plane and horizontal plane, which lead to a change in ECG. Ref Harrison 20th edition pg 1449